Which of the following hormone level is evaluated for testing ovarian reserve?
1. LH
2. LH/FSH ratio
3. FSH
4. FSH/LH ratio

Correct answer: 3. FSH

Explanation: Tests used to detect ovarian reserve are basal FSH, basal estradiol and inhibin B levels. Basal FSH is an important predictor of ovarian reserve and patients with levels greater than 20 mIU/ml are poor responders to ovulation induction. Basal estradiol levels greater than 50pg/ml also predicts poor ovarian reserve. Inhibin B is a glycoprotein secreted by granulosa cells of the ovary, with declining ovarian function the granulosa cell activity declines and inhibin levels will fall.